In Dysgerminoma stage 1A, treatment of choice is
1. TAH with BSO
2. Unilateral ovariotomy with preservation of uterus
3. Bilateral ovariotomy with preservation of uterus
4. Bilateral salpingo-oophorectoy

Correct answer: 2. Unilateral ovariotomy with preservation of uterus

Explanation: Surgical management of dysgerminoma Vertical midline abdominal incision Peritoneal washings Exploration of abdominal and pelvic organs Unilateral salpingoopherectomy with preservation of uterus Pelvic and paraaortic lymph node sampling Infraacolic omentectomy Removal of the other tumor masses Ref: Shaw Gynecology 17 e pg 469.